Which amino acids are absorbed in enterocytes through Meister cycle?
1. Dibasic amino acids
2. Basic amino acids
3. Dicarboxylic amino acids
4. Neutral amino acids.

Correct answer: 4. Neutral amino acids.

Explanation: Absorption of neutral amino acids requires Meister cycle Glutathione is essential here 3 ATPs are used in this cycle to transport one amino acid Not a common transport system for amino acids